All of the following cause a gray white membrane on the tonsils except:
1. Infectious mononucleosis
2. Ludwig's angina
3. Streptococcal tonsillitis
4. Diptheria

Correct answer: 2. Ludwig's angina

Explanation: Ludwigs angina is cellulitis of submandibular space.It does not lead to membrane formation over tonsils. DD of membrane over tonsil: 1.Membrane tonsillitis. 2.Diphtheria 3.Vincent angina 4.Infectious mononucleosis 5.Agranulocytosis 6.Leukaemia 7.Aphthous ulcer 8.Malignancy ulcer 9.Traumatic ulcer 10.Candidal infection of tonsil Ref Dhingra 5/e,p 274,6/e,p 259-260.